Mechanism of action of theophylline in bronchial asthma is:
1. Phosphodiesterase 4 inhibition
2. Beta2 agonism
3. Anticholinergic action
4. Inhibition of mucociliary clearance

Correct answer: 1. Phosphodiesterase 4 inhibition

Explanation: Ans. (A) Phosphodiesterase 4 inhibition(Ref: Katzung 11th/e p345; KDT 8th/e p245)Theophylline is used in bronchial asthma. Its mechanism of action is:Inhibition of phosphodiesterases particularly PDE-4.Antagonism of adenosine receptors.Enhancement of histone deacetylation. Acetylation of histone is required for activation of inflammatory gene transcription. By inhibiting this process, low-dose theophylline may restore responsiveness to corticosteroids.